True about nocardia are all EXCEPT:
1. Penicillin is drug of choice
2. Most common disease caused is pneumonia
3. Aerobic
4. Acid fast

Correct answer: 1. Penicillin is drug of choice

Explanation: Penicillin is drug of choice REF: Harrsion's 18th ed chapter 162 NOCARDIA: Aerobic, gram positive, urease, catalase positive, partially acid fast. Most common species: N. ASTEROIDES Most common risk factor: contact with soil or vegetable Most common manifestation: pneumonia Most common site of extra pulmonary dissemination: brain DOC: Trimethoprim - sulphamethoxazole